Scarpa's fascia gets attached to
1. Inguinal ligament
2. Fascia lata of thigh
3. Conjoint tendon
4. Pubic crest

Correct answer: 2. Fascia lata of thigh

Explanation: Scarpa's fascia is the deep membranous layer of superficial fascia of anterior abdominal wall. It crosses the inguinal ligament and gets attached to the fascia lata of thigh along Holden's line below and parallel to inguinal ligament. fig:-layers of abdominal wall